Which of the following organisms is commonly implicated in spontaneous bacterial peritonitis in patients of Nephrotic syndrome?
1. Staphylococcus
2. Streptococcus pneumoniae
3. Hemophilus influenza
4. Salmonella

Correct answer: 2. Streptococcus pneumoniae

Explanation: Ans. B. Streptococcus pneumoniaeSpontaneous bacterial peritonitis (SBP), an infection of ascitic fluid without a definitive intra-abdominal source that can be surgically treated. Polymorphonuclear neutrophilic leukocyte (PMN) counts, starting at 250cells/mL are considered valid markers for SBP. Streptococcus pneumoniae as the most common streptococcal organism. Other organisms implicated include Escherichia coli and Klebsiella spp, Enterococcus spp and S. aureus.